Which is SsRNA unenveloped virus:
1. HBV
2. HEV
3. HCV
4. None

Correct answer: 2. HEV

Explanation: Ans. b. HEV